Co-enzyme used in transamination ?
1. NAD
2. Biotin
3. Pyridoxal phosphate
4. Riboflavin

Correct answer: 3. Pyridoxal phosphate

Explanation: Ans. is 'c' i.e., Pyridoxal phosphate Pyridoxal phosphate (active form of vitamin B6) is the coenzyme for transamination reactions.